Sensory motor neuropathy is caused by -a) DMb) Lead poisoning c) Arsenicd) Leprosye) AIDS
1. abcd
2. bde
3. acde
4. bcde

Correct answer: 3. acde